The critical angle refers to the angle of incidence in the denser medium, corresponding to which angle of refraction in the rarer medium is:
1. Less than 90deg
2. 90deg
3. More than 90deg
4. Equal to angle of incidence

Correct answer: 2. 90deg

Explanation: Ans. 90deg